Most common site of TB -
1. Spine
2. Knee
3. Hip
4. Shoulder

Correct answer: 1. Spine

Explanation: Ans. is 'a' i.e., Spine Skeletal tuberculosiso Tuberculous infection of bone (osteomyelitis) is a form of secondary osteomyelitis caused by hematogenous dissemination from a primary' infected visceral focus. The primary-focus may be active or quiescent, apparent or latent; either in the lungs, lymph glands or other viscera.Tuberculous infection of bone (Tubercular Osteomyelitis) vs Bacterial infection (Bacterial Osteomyelitis)Acute bacterial InfectionTuberculous Infectiono Perisoteal Reaction is marked\o Sequestra are commono Perifocal Reactive bone formation (involucrum) is prominento Involvement of adjacent tissues may result in abscess formationo Abscess wall shows characteristic signs of inflammationo Periosteal Reaction is minimal (limited)o Sequestra are very uncommono Very little Perifocal Reactive bone formation is seen (lesion is primarily a lytic process)o Involvement of adjacent tissues may result in abscess formationo Abscess wall does not show characteristic signs of inflammation (cold abscess)o The spine is the commonest site of bone and joint tuberculosis, about 50 percent of the total number of cases,o Next in order of frequency are the hip. the knee and the elbow.TissueDiseaseRemarksBoneo Long boneo Short bone (phalanges)o SpineTB osteomyelitisTubercular dactylitisTB spondylitisTibia commonly affectedAlso called spina ventosaAlso called Pott's diseaseJointo Arthritiso SynoviumTB arthritisSynovial TBHip joint commonly affeetedKnee-commonest siteOtherso Tendon (synovium)o BursaeTB tensosynovitis of flexor tendons at wristTB bursitis of trochantericCompound palmar ganglionTrochanteric bursitis